Most common cause of Non-gonococcal urethritis is
1. Meningococci
2. Escherichia coli
3. Chlamydia trachomatis
4. Mycoplasma

Correct answer: 3. Chlamydia trachomatis

Explanation: The most common cause of non-gonococcal urethritis is C.trachomatis. Other common organisms are ureaplasma ureolyticum and Mycoplasma hominis. Ref: Ananthanarayan and Paniker's Textbook of Microbiology, 9th edition; pg no: 234